Lymphocytosis is seen in
1. Fungal infections
2. Viral infections
3. Bacterial infections
4. Protozoal infections

Correct answer: 2. Viral infections